SIADH is associated with :
1. Small cell carcinoma lung
2. Adeno carcinoma lung
3. Squamous cell carcinoma lung
4. Mixed cell tumor lung

Correct answer: 1. Small cell carcinoma lung

Explanation: Answer is A (Small cell Ca of lung): Small cell Ca of lung causes SIADH due to ectopic secretion of ADH.